Which organism would most likely cause infection after a disinfection procedure that killed vegetative cells but did not kill spores?
1. Chlamydia
2. Clostridium
3. Escherichia
4. Pseudomonas

Correct answer: 2. Clostridium

Explanation: Clostridia are spore-forming bacteria, which would be killed by disinfection. Disinfection is defined as a process that would kill pathogenic organisms on the inanimate object. By definition, the process of disinfection would not kill bacterial spores and non-pathogenic organisms. When the process of disinfection is applied on the living tissue it is then referred to as antisepsis.